Crescent forming Glomerulunephritis is
1. Acute GN
2. Rapidly progressive glomerulonephritis
3. Membranous glomerulonephritis
4. Membranoproliferative glomerulonephritis

Correct answer: 2. Rapidly progressive glomerulonephritis

Explanation: Refer Robbins page no 9/e 912kidneys are enlarged and pale, often with petechial hemor- rhages on the cortical surfaces. Depending on the underlying cause, the glomeruli often show focal and segmental necrosis, and variably show diffuse or focal endothelial proliferation, and mesangial proliferation. Segmental glomerular necrosis adja- cent to glomerular segments uninvolved by inflammatory or proliferative changes is the feature most typical of pauci- immune RPGN. The histologic picture, however, is dominated by distinctive crescents (Fig. 20-10). Crescents are formed by proliferation of parietal cells and by migration of monocytes and macrophages into the urinary space. Neutrophils and lym- phocytes may be present. The crescents may obliterate the urinary space and compress the glomerular tuft. Fibrin strands are frequently prominent between the cellular layers in the crescents;